All are sanitary methods of refuse disposal except
1. Composting
2. Stacking
3. Incineration
4. Land filling

Correct answer: 2. Stacking